In a child, CSF examination is not used in diagnosis of:
1. ALL
2. Hodgkin's lymphoma
3. Non- Hodgkin's lymphoma
4. AML

Correct answer: 2. Hodgkin's lymphoma

Explanation: Ans. b. Hodgkin's lymphoma Acute Lymphoblastic Leukemia (ALL), Non-Hodgkin's lymphoma and Acute Myeloid Leukemia disseminate CSF. So, CSF examination can be used in the diagnosis. Prophylactic craniospinal irradiation is used in the treatment In Hodgkin s lymphoma, there is no CSF spread, so CSF examination is not used in the diagnosis Prophylactic Craniospinal Irradiation Prophylactic craniospinal irradiation is useful in CNS malignancy which disseminate CSF or any malignancy with high risk of CNS spreadQ Indications of Prophylactic Craniospinal Irradiation MedulloblastomaQ GlioblastomaQ GerminomaQ Small cell Ca of lung ALLQ Non-Hodgkin's lymphomaQ Leptomeningeal RhabdomyosarcomaQ